Inc ubation period for filariasis is -
1. 1 - 8 months
2. 8 - 16 months
3. 16 -24 months
4. >24 months

Correct answer: 2. 8 - 16 months

Explanation: The time interval between invasion of infective larva to the development of clinical manifestation is known as clinical incubation period. It is commonly 8-16 months Reference; Park's Textbook of preventive and social medicine, 24th edition.Pg no. 289